An x-ray of an asymptomatic 64- year-old male executive coming in for his regular annual medical checkup. He had an anterior Q wave MI 4 years ago. What is your diagnosis?
1. calcific pericarditis
2. left ventricular aneurysm
3. hydatid cyst
4. pleuropericarditis

Correct answer: 2. left ventricular aneurysm

Explanation: (b) Source: (Fuster, pp. 1321-1322)Note the abnormal humped contour of the left ventricular border, with a curvilinear calcification following the abnormal cardiac contour. The presence of calcification in the ventricular wall and the abnormal left ventricular contour alerts one to the consideration of a ventricular aneurysm.